By which of the following anticoagulants used in estimating blood glucose, glycolysis is prevented
1. EDTA
2. Heparin
3. Sodium fluoride
4. Sodium citrate

Correct answer: 3. Sodium fluoride

Explanation: Sodium fluoride is used as preservative for blood glucose by inhibiting the enzyme systems involved in glycolysis.Ref: DM Vasudevan, 7th edition, page no: 442